Following is not a differential diagnosis for middle mediastinal mass
1. Tortuous innominate artery
2. Bronchogenic cyst
3. Aortic arch aneurysm
4. Neuro enteric cyst

Correct answer: 4. Neuro enteric cyst

Explanation: Neuroenteric cyst - Posterior mediastinum.